Ventricular function improves with pregnancy in which of the following condition?
1. Mitral stenosis
2. Mitral insufficiency
3. Aortic stenosis
4. Pulmonary stenosis

Correct answer: 2. Mitral insufficiency

Explanation: Major cardiac valve disordersType Pregnancy outcomeMitral stenosisHeart failure from fluid overload, tachycardia Mitral insufficiencyVentricular function improves with afterload decreaseAortic stenosisModerate stenosis is tolerated; Severe is life-threatening with decreased preload eg: obstetrical hemorrhage or regional analgesiaAortic insufficiencyVentricular function improves with afterload decreasePulmonary stenosisMild stenosis well tolerated; Severe stenosis is associated with right heart failure and atrial arrhythmias(Ref: William's Obstetrics; 25th edition)